Which is false in Congenital Hypopituitarism ?
1. Growth hormone level < 7 ng/ml
2. Hypoglycemia
3. Baby small at birth
4. Delayed puberty

Correct answer: 3. Baby small at birth